Government has initiated the roll out of a Community based care programme for undernourished children under 6 years across the country through the Integrated Child Development Services (ICDS) scheme known as?
1. SnehaShivir
2. Balwadi
3. Kayakalp
4. Ujjwala

Correct answer: 1. SnehaShivir

Explanation: SNEHA SHIVIR: "SnehaShivir" is designed to be a community based approach for the prevention and management of moderate and severe under nutrition. SnehaShivir has been introduced in 200 high burden districts of the country and is to be served through an Additional Anganwadi Worker/Nutrition Counsellor at the Anganwadi Centre.